All of the following are risk factors for thoracic aortic aneurysm (TAA) rupture except:
1. Symptomatic aneurysm
2. Concurrent dissection
3. Increased patient age
4. Anticoagulation use

Correct answer: 4. Anticoagulation use

Explanation: TAAs are those occurring distal to the left subclavian vein. The risk for rupture is increased with : Increasing aneurysm size Advanced age History of chronic obstructive pulmonary disease (COPD) Concurrent dissection. Anticoagulation is not a risk factor for rupture.